A person gets infected in a hospital and clinical manifestation appears after he is discharged this is called as
1. Nosocomial infection
2. Opportunistic infection
3. Epizootic infection
4. Physician induced

Correct answer: 1. Nosocomial infection

Explanation: Cross infections occurring in hospitals are called nosocomial infections. Ref: Ananthanarayan& Paniker's textbook of microbiology, 9th edition. Pg no.71